Which one of the following is not a wound closure technique ?
1. Partial thickness skin graft
2. Composite graft
3. Vascular graft
4. Musculo-cutaneous graft

Correct answer: 3. Vascular graft

Explanation: vascular graft is used to redirect blood flow in a region of the body. It is commonly performed due to inadequate blood flow (ischemia) and as a part of organ transplantation. In general, someone's own vein is the preferred graft material (or conduit) for a vascular bypass, but other materials such as ePTFE, dacron or a different person's vein (allograft) are also commonly used. Arteries can also be redirected and serve as vascular grafts. A surgeon sews the graft to the target vessel by hand using surgical suture, creating a surgical anastomosis. A composite graft is a small graft containing skin and underlying cartilage or other tissue. Donor sites include, for example, ear skin and cartilage to reconstruct nasal alar rim defects.